In a 32 weeks preterm baby the X ray showed diffuse opacities bilaterally. The diagnosis is
1. Congenital cystic lungs
2. RDS
3. Diaphragmatic hernia
4. Tracheoesophageal fistula

Correct answer: 2. RDS

Explanation: (B) RDS # RDS:> Clinical features. Respiratory distress usually occurs within the first 6 hours of life. Clinical features include tachypnea, retractions, grunting, cyanosis, and decreased air entry.> Diagnosis can be confirmed by chest X-ray.> Radiological features include reticulogranular pattern, ground glass opacity, low lung volume, air bronchogram, and a whiteout lung in severe disease